One of the following toxalbumin is used as terrorist weapon
1. Ricin
2. Abrin
3. Croton
4. Chilly

Correct answer: 1. Ricin

Explanation: Ricin obtained from Ricinus communis: most poisonous naturally occurring substances known. Ricin is toxic by numerous exposure routes and its use by terrorists might involve poisoning of water or foodstuffs, inoculation ricin-laced projectiles, or aerosolization of liquid ricin or distribution of powder.